Treatment of choice for severe impetigo?
1. Incision and drainage of severe lesions
2. Systemic antibiotics
3. Topical antibiotics
4. Anti-septic dressing

Correct answer: 2. Systemic antibiotics

Explanation: Treatment of choice for severe impetigo: systemic antibiotic for 7 to 10 days to prevent glomerulonephritis, a dangerous complication. Topical antibiotics are less effective than systemic antibiotics in treating impetigo.